Which one of the following statement is false about loculated pleural effusion?
1. They form obtuse angles against the mediastinum/chest wall when viewed in profile
2. They have unsharp margins when viewed enface
3. They do not conform to segmental distribution
4. The opacity may show air bronchogram

Correct answer: 4. The opacity may show air bronchogram

Explanation: Air bronchogram is the bronchi filled with air visualised against the surrounding opacified alveoli. Ref: Perinatal and Pediatric Respiratory Care By Brian K. Walsh, Michael P. Czervinske, Robert M. DiBlasi, 2009, Page 445